What is Nitroblue tetrazolium test used for?
1. Phagocytosis
2. Complement
3. T cell
4. B cell

Correct answer: 1. Phagocytosis

Explanation: . Phagocytosis